In methyl alcohol poisoning CNS depression, cardiac depression and optic nerve atrophy results from the production of which of the following metabolites?
1. Acetic acid
2. Acetaldehyde
3. Pyridine
4. Formaldehyde and Formic acid

Correct answer: 4. Formaldehyde and Formic acid

Explanation: Clinical features of methyl alcohol poisoning results from formaldehyde and formic acid. Methyl alcohol is oxidized by liver to formaldehyde which is then oxidized to formic acid which results in metabolic acidosis & retinal toxicity. Formate inhibits cytochrome oxidase chain increasing lactate production and resulting in metabolic acidosis. When the central nervous system is affected it results in delirium and coma. It can also cause cardiac and respiratory depression. Visual disturbances include photophobia, blurry vision, central or peripheral scotoma, sudden loss of vision due to optic neuritis and atrophy due to the effect of formic acid on optic nerve. Ref:The Essentials of Forensic Medicine and Toxicology By Dr KS Narayan Reddy, Pages 512-3